Indication of aspiration in liver abscess all Except
1. Left lobe abscess
2. Deep & less than 5 mm size
3. Multiple
4. Recurrent

Correct answer: 2. Deep & less than 5 mm size

Explanation: Indications of liver aspiration- large abscess (>10%), infected abscess, failure of drug therapy, large left lobe abscess, seronegative abscess, abscess in pregnancy where drug therapy cannot be used. Reference : SRB edition :5 page :599